A 20 yr old male presents with anterior shoulder dislocation. The injury is usually caused as a combination of which of the following ?
1. Abduction and external rotation
2. Adduction and external rotation
3. Abduction and internal rotation
4. Adduction and internal rotation

Correct answer: 1. Abduction and external rotation

Explanation: Anterior shoulder dislocation Indirect force -abduction, external rotation, extebtion Direct force -blow from posterior aspect of shoulder Most common mechanism for injury of anterior dislocation of shoulder is fall on outstretched hand Refer Maheshwari 6th/e p 89